Mood congruent delusion seen in Depression
1. Delusion of grandeur
2. Delusion of nihilisim
3. Delusional parasitosis
4. Delusion of reference

Correct answer: 2. Delusion of nihilisim

Explanation: Nihilistic delusion is seen severe depression where patient denies the existence of himself & world. Also called as "Cotard syndrome".